Which ligament carries ovarian Artery in lateral wall?
1. Ovarian ligament
2. Suspensory ligament of ovary
3. Broad ligament
4. Round ligament

Correct answer: 2. Suspensory ligament of ovary

Explanation: Suspensory ligament of ovary It includes the portion of broad ligament which extends from the infundibulum of fallopian tube to the lateral pelvic wall. It contains ovarian vessels, nerves and lymphatics from ovary, fallopian tube and body of uterus. Ref: D.C. Dutta's Textbook of Gynaecology, 6th edition, page no: 21